Complement attaches to immunoglobulin at:
1. Aminoterminal
2. Fab region
3. Variable region
4. Fc fragment

Correct answer: 4. Fc fragment

Explanation: Ans. is 'd' i.e., Fc fragment (Ref: Ananthanarayan, 8th/e, p. 97)* Fc fragment consist of parts of both H chains, composed of carboxyterminal portion of the H chains and it determines biological properties of Ig molecule such as complement fixation, placental transfer, skin fixation and catabolic rate.